Burtonian line is seen with poisoning of -
1. Mercury
2. Lead
3. Arsenic
4. Zinc

Correct answer: 2. Lead

Explanation: * Lead line (Burtonian line) - a bluish line is present on gums. The line formation is due to lead sulphide. Lead sulphide is formed due to action of hydrogen sulphide gas, liberated from the decomposed food in the mouth, with lead. Ref: K.S.Narayan Reddy's Synopsis of Forensic Medicine and Toxicology, 29th edition, Chapter 26, page-300.